HIV associated gingivitis is best described by the term?
1. Juvenile gingivitis
2. Acute necrotising gingivitis
3. Linear gingival erythema
4. Necrotising ulcerative gingivitis

Correct answer: 3. Linear gingival erythema